The treatment of choice for perforation of the cervical esophagus is
1. Bed rest and use of antibiotics
2. Nasogastric intubation and use of antibiotics
3. Cervical exploration and drainage of superior mediastinum and use of antibiotics
4. Resection and colonic interposition

Correct answer: 3. Cervical exploration and drainage of superior mediastinum and use of antibiotics

Explanation: Surgical exploration of the neck conr with drainage of the retro visceral space is the preferred treatment of persons who have a cervical esopre perforation. Drainage can be performed under G. anesthesia and improvement is prompt. Suture may be required for major lacerations. All persons having an esophageal injury should receive parenteral administered antibiotics and appropriate fluid electrolyte solutions; however, relying on these measures alone-without surgery-is dangerous and may be fatal.